Bacteria not affected by streptogramins is -
1. E. coli
2. Staphylococcus aureus
3. Legionella
4. M. pneumoniae

Correct answer: 1. E. coli

Explanation: Ans. is 'a' i.e., E. coli o Streptogramins are active against gram-positive cocci and organisms responsible for atypical pneumonia (e.g., M. pneumoniae, Legionella spp., and Chlamydia pneumoniae), but largely inactive against gram-negative organisms, o They are bactericidal against streptococci and many strains of staphylococci, but bacteriostatic against E.faecium.